Treatment of choice of campylobacter-
1. Tetracycline
2. Ampicillin
3. Erythromycin
4. Ciprofloxacin

Correct answer: 3. Erythromycin

Explanation: Fluid and electrolyte replacement is central to the treatment of diarrheal illnesses. Indications for therapy include high fever, bloody diarrhea, severe diarrhea, persistence for >1 week, and worsening of symptoms. A 5- to 7-day course of erythromycin (250 mg orally four times daily or--for children--30-50 mg/kg per day, in divided doses) is the regimen of choice. Both clinical trials and in vitro susceptibility testing indicate that other macrolides, including azithromycin (a 1- or 3-day regimen), also are useful therapeutic agents. An alternative regimen for adults is ciprofloxacin (500 mg orally twice daily) or another fluoroquinolone for 5-7 days, (Harrison's Principles of internal medicine, 20 th edition, page 1288)